Drugs which cause pericarditis are : a) Hydralazine b) Procainamide c) Bretylium d) Methysergide e) Amiodarone
1. bde
2. abd
3. acd
4. ac

Correct answer: 2. abd